Brown, spherical, septate bodies from pus are diagnostic of:
1. Geotrichosis
2. Chromomycosis
3. Mucormycosis
4. Sporotrichosis

Correct answer: 2. Chromomycosis

Explanation: Chromoblastomycosis is also known as verrucous dermatitis. Lesions consist of way cutaneous nodule which resemble the florets of cauliflower. The disease is confined to subcutaneous tissue of feet and lower legs. Histologically lesions show, the presence of fungus as round / irregular, dark brown, yeast - like bodies with septae called sclerotic cells. Diagnosis is established by demonstration of sclerotic bodies in KOH mounts / in sections and by culture on sabouraud's agar. Also Know: Sporotrichosis is demonstrated by the presence of septate hyphae which carry flower like clusters of conidia on delicate sterigmata. Mucormycosis shows the presence of broad, non septate mycelia in tissues on sabouraud's medium. Ref: Ananthanarayanan & Paniker's 8th Ed Page 614.